Ustekinumab is used in
1. Lichen planus
2. Psoriasis
3. Darier disease
4. Pemphigus

Correct answer: 2. Psoriasis

Explanation: Ustekinumab acts by blocking interleukin IL-12 and IL-23 which help to activate T-cells. Used to treat psoriasis, was also approved to treat Crohn's disease. Other biologics approved in psoriasis are anti-TNF alpha agents Etanercept, Adalimumab, Infliximab, Golimumab Ref: Harrison 19e pg: 348